Adult PCKD is?
1. Autosomal dominant
2. Autosomal recessive
3. X-linked recessive
4. Mitochondrial inheritance

Correct answer: 1. Autosomal dominant

Explanation: Ans is 'a' i.e. Autosomal dominant o ADPKD is an autosomal dominant disorder characterized by multiple expanding cysts of both kidneys that ultimately destroy renal parenchyma and cause renal failure in middle life (40-60 years of age)o Most commonly (85%) mutation involves PKD 1 gene on chromosome 16 encoding for polycystin 1 followed by PKD2 gene on chromosome 4 encoding for polycystin 2.